Which one of the following is the primary site of production of gastrin
1. Pylorus
2. Antrum
3. Pancreas
4. Small intestine

Correct answer: 2. Antrum

Explanation: Gastrin secreted by
-        G cells in the antral and duodenal mucosa.
-        TG cells in stomach and ileum
-        Pituitary, brain and nerves
-        Pancreatic islets in the fetus